The drug pyronaridine is:
1. Antifungal
2. Antimalarial
3. Anti-HIV
4. PPI drugs

Correct answer: 2. Antimalarial

Explanation: Ref: Goodman & Gillman's 13th ed. P 974* Pyronaridine is an antimalarial structurally related to amodiaquine.* This drug is potent against both P. falciparum and P. vivax and is very well tolerated.* It leads to fever resolution in 1-2 days and parasite clearance in 2-3 days.* It is tested in clinical trials as an adjunct with artemisinin class drugs, has not yet been licensed.